Which of the following infrahyoid muscles is not supplied by Ansa Cervicalis
1. Sternohyoid
2. Sternothyroid
3. thyrohyoid
4. omohyoid

Correct answer: 3. thyrohyoid

Explanation: All the infrahyoid muscles are supplied by ansa cervicalis except thyrohyoid which is Supplied by C1.
Ansa cervicalis or Ansa hypoglossi supplies the infrahyoid muscles (Sternohyoid, sternothyroid, omohyoid)
Ansa cervicalis is formed by a superior root and an inferior root.
Superior root is formed by descending branch of hypoglossal nerve that carries the fibres of first cervical neLiv _( C1).The inferior root is formed by C2 and C3, spinal nerves.
Thyrohyoid and superior belly of omohyoid are supplied by C1 through hypoglossal nerve. Ansa cervicalis supplies the and the Sternohyoid, dternothyroid and the inferior belly of the omohyoid